Description of C4b of CEAP Classification for chronic venous disorders is?
1. Telangiectasia or reticular veins
2. Active venous ulcer
3. Lipodermatosclerosis
4. Oedema

Correct answer: 3. Lipodermatosclerosis

Explanation: According to CEAP( Clinical-Etiology-Anatomy-Pathophysiology ) C0 :no signs of venous disease C1:telangectasia or reticular veins C2 : varicose veins. C3 : oedema C4a: pigmentation or eczema C4b: lipodermatosclerosis or atrophie blanche C5 : healed venous ulcer C6 : active venous ulcer